Which vitamin supplementation is advised when a person is on treatment for tuberculosis
1. Thiamine
2. Biotin
3. Niacin
4. Pyridoxine

Correct answer: 4. Pyridoxine

Explanation: Isoniazid used in TB regimens inhibits the enzyme pyridoxine phosphokinase. This enzyme is necessary to activate pyridoxine to its active form. Thus pyridoxine (Vitamin B6) is supplemented during TB treatment to prevent the development of peripheral neuropathy.